Octerotide is used in all except:
1. Glucogonoma
2. Insulinoma
3. Carcinoid syndrome
4. Glioma

Correct answer: 4. Glioma

Explanation: Octreotide is synthetic analogue of somatostatin. It is used in diarrhea associated with carcinoid, diabetes,HIV, acromegaly, esophageal varices, dumping syndrome, VIP secreting tumors (REF.Essential of medical pharmacology K D TRIPATHI 6 Edition, Page No - 235)